All known effects of cyclic AMP eukaryotic cells results from
1. Activation of catalytic unit of adenylate cyclase
2. Activation of Synthestase
3. Activation of protein kinase
4. Phosphorylation of G protein

Correct answer: 3. Activation of protein kinase

Explanation: Cyclic AMP exces most 9f it's evgect by stimulating cAMP dependent protein kinase.these phosphorylation enzyme results in their activation or inhibitions Ref-KDT 7/e p46